First line approach for shoulder dystocia is -
1. Woods cockscrew maneuvre
2. Mac Roberts maneuver
3. Zavonelli maneuver
4. Increased fundal pressure

Correct answer: 2. Mac Roberts maneuver

Explanation: Ans. is 'b' i.e., Mac Roberts maneuver Shoulder Dystocia management:1st Line2nd Line3rd Linea) Stop giving fundal pressure, instead give supra-pubic pressureb) Mac Roberts maneuvera) Woods-corkscrew maneuvera) Zavonelli maneuverb) Cleidotomyc) SymphysiotomyNote: Most common nerve damaged during Mac Roberts maneuver is - Lateral cutaneous nerve of thigh.